Which hormones antagonize the effect of NO and cause the penis to become flaccid after orgasm?
1. Endothelin and norepinephrine
2. Estrogen and progesterone
3. Luteinizing hormone (LH) and follicle-stimulating hormone (FSH)
4. Progesterone and LH

Correct answer: 1. Endothelin and norepinephrine

Explanation: Norepinephrine is released from the nerve terminals and endothelin is released from endothelial cells in the vasculature, causing vasoconstriction of the vasculature.